Corpus callosum is involved in
1. CNS lymphoma
2. Adrenoleukodystrophy
3. Diffuse Axonal Injury
4. All

Correct answer: 4. All

Explanation: Corpus Callosum is commonly involved in:- *Adrenoleukodystrophy *Marchiafava Bignami Disease *Progressive Multifocal Leukoencephalopathy *Diffuse Axonal Injury *CNS lymphoma *Glioblastoma multiformis(Butterfly Glioma)